What is the anatomical relation of the upper lacrimal punctum with respect to lower punctum?
1. Medial
2. Lateral
3. Apposed
4. No relation

Correct answer: 1. Medial

Explanation: Ans. (a) MedialRef: Khurana Anatomy 2/e, p. 375The upper punctum lies 0.5mm medial to the lower punctum. Upper punctum is directed downwards and backwards while the lower punctum is directed upwards and backwards.